which ultrasound finding has highest association with aneuploidy
1. Choroid plexus cyst
2. Nuchal translucency
3. Cystic hygroma
4. Single umbilical artery

Correct answer: 3. Cystic hygroma

Explanation: All the above mentioned are ultrasound findings associated with increased risk of aneuploidy although the highest association is seen with cystic hygroma
Nuchal translucency and cystic hygroma are both measured in first trimester
Trisomy 21 is the most common aneuploidy associated with increased NT and cystic hygroma While monosomy X presents as second trimester hygroma.